A patient receives a toxic dose of lignocaine i.v., the patient is likely to exhibit?
1. Excessive salivation
2. Mydriasis and diarrhea
3. Respiratory paralysis
4. Seizures and coma

Correct answer: 4. Seizures and coma

Explanation: * If LA reaches the blood stream, most prominent adverse effects are related to CNS and CVS. * In CNS :-stimulation (convulsions) followed by depression (coma) is seen. - Initial stimulation is due to inhibition of the inhibitory neurons.